Commonest complication of prosthetic valve is -
1. Embolism
2. Subacute bacterial endocarditis
3. Rejection
4. Infarction

Correct answer: 1. Embolism